A male was brought unconscious to the hospital with external injuries. CT brain showed no midline shift, but basal cisterns were compressed with multiple small hemorrhages. What is the diagnosis –
1. Cortical contusion
2. Cerebral laceration
3. Multiple infarcts
4. Diffuse axonal injuries

Correct answer: 4. Diffuse axonal injuries

Explanation: Diffuse axonal injury (DAI) and Cerebral contusions are the most common primary brain injuries in non-penetrating trauma to head, comprising almost 95% of primary injuries.
Diffuse axonal injury

(the most common primary brain injury), there is a shearing injury of axons most commonly at the cortico-medullary junction, due to sudden acceleration/deacceleration or rotational forces on the brain.
These shearing injuries tend to be diffuse & bilateral.
DAI is seen in cases of severe head injury and the patient loses consciousness at the moment of impact.

Cortical contusions

Are foci of hemorrhages, that occur because of brain hitting against the bony ridges of the skull and less often the dual fold.
Compared to DAI, cortical contusion are less frequently associated with the initial loss of consciousness unless they are extensive.

The above-given patient. presents a picture of.DAI. He is unconscious. His CT shows multiple small hemorrhages. There is no midline shift as the injuries are diffuse & bilateral. Basal cisterns are compressed due to diffuse cerebral edema